Which of the following is/are not the features of Henoch-Schonlein purpura (HSP)?
1. Abdominal pain
2. Splinter hemorrhage
3. Thrombocytopenia
4. Epistaxis

Correct answer: 3. Thrombocytopenia

Explanation: c. Thrombocytopenia(Ref: Nelson's 20/e p 1612, Ghai 8/e p 632)HSP is characterized by a tetrad of palpable purpura, arthritis, glomerulonephritis and abdominal painLess common skin lesions are macules, vesicles, bullous lesions, splinter hemorrhage and ulcerations; Rarely, epistaxis may occur.